Modiolus at the cortex of mouth is formed by all except?
1. Triangularis
2. Buccinator
3. Orbicularis oris
4. Alaque Nasi

Correct answer: 4. Alaque Nasi

Explanation: Modiolus is a chiasma of facial muscles held together by fibrous tissue located superolateral to each angle of mouth.
It is formed by 8 muscles,

Orbicularis oris
Buccinator
Levator anguli oris
Depressor anguli oris
Levator labii superioris
Zygomaticus major
Risorius
Platysma